A capillary that connects metarteriole directly with a venule is called as:
1. Windkessel vessel
2. Resistance vessel
3. Exchange vessel
4. Thoroughfare vessel

Correct answer: 4. Thoroughfare vessel

Explanation: 'Thoroughfare' means a channel or a road that connects two major roads. A.V. anastomosis is called as thoroughfare vessel. Windkessel vessels ~ aorta and large arteries Resistance vessels ~ arterioles Exchange vessels ~ capillaries